Johne's bacillus is -
1. Corynebacterium pseudotuberculosis
2. M. paratuberculosis
3. H. aegypticus
4. K. pneumoniae

Correct answer: 2. M. paratuberculosis

Explanation: Ans. is 'b' i.e., M. paratuberculosis * M. paratuberculosis is also known as Johne's bacillus.